Opsomyoclonus is encountered as C/F of-
1. Meningioma
2. Neuroblastoma
3. Neurofibromatosis
4. Excision

Correct answer: 2. Neuroblastoma

Explanation: Ans. is 'b' i.e., Neuroblastoma o Neuroblastoma can present as paraneoplastic syndrome of autoimune origin manifesting as ataxia or oposmyoclonus (Dancing eyes and dancing feat). o In such cases primary tumor is in the chest or abdomen and the brain is negative for tumor. o Some tumor produce catecholamines that can cause sweating and HTN and some release vasoactive intestinal peptide (VIP) causing secretary diarrhea.